Which of the following secretions has a very high Ph
1. Gastric juice
2. Pancreatic juice
3. Bile in gallbladder
4. Saliva

Correct answer: 2. Pancreatic juice

Explanation: Ans. (b) Pancreatic juice(Ref: Ganong, 25th ed/p.461)Highly alkaline - pancreatric juice (pH- 8.3)Highly acidic - Gastric juice (pH-<3)